Which of the following is reducing sugar?
1. Sucrose
2. Isomaltose
3. Trehalose
4. All of the above

Correct answer: 2. Isomaltose

Explanation: Sucrose and Trehalose are non reducing sugars.
Isomaltose is a disaccharide similar to maltose but with α (1,6) linkage instead of α (1,4) linkage.